Best prognostic type of Hodgkin's lymphoma is :
1. Lymphocytic predominant
2. Lymphocytic depletion
3. Mixed cellularity
4. Nodular sclerosis

Correct answer: 1. Lymphocytic predominant

Explanation: Answer is A (Lymphocyte predominance) Lymphocyte predominant type of Hodgkins lymphoma is associated with the best prognosis.